All of the following can be used for prophylaxis of migraine except
1. Sumatriptan
2. Valproate
3. Propanol
4. Topiramate

Correct answer: 1. Sumatriptan

Explanation: Migraine prophylaxis include (i) Anticonvulsants (valproate and Topiramate),(ii) Antidepressants (amitriptyline and fluoxetine),(iii) Calcium channel blockers (verapamil,flunarizine)(iv) b-adrenoceptor antagonists (propranolol, timolol) Sumatriptan is used for treating acute migraine acute migraine: NSAIDS, Sumatriptan, ergotamine REF :ESSENTIALS OF MEDICAL PHARMACOLOGY:KD TRIPATHI, 8TH EDITION